All pass through deep inguinal ring, except:
1. Spermatic cord
2. Internal spermatic fascia
3. Round ligament
4. Ilio inguinal nerve

Correct answer: 4. Ilio inguinal nerve

Explanation: Ilio inguinal nerve